The commonest cause of intestinal obstruction and abdominal pain in children between 3 months to 6 years of age:
1. Intussusception
2. Meckel's diverticulum
3. Intestinal polyp
4. Nonspecific cause

Correct answer: 1. Intussusception

Explanation: Ans. A. IntussusceptionIntussusception occurs when a portion of the alimentary tract is telescoped into an adjacent segment. It is the most common cause of intestinal obstruction between 3 month and 6 yr. of age.